For laser iridotomy which laser is used?
1. Argon laser
2. Nd YAG laser
3. Excimer laser
4. Co2 Laser

Correct answer: 2. Nd YAG laser

Explanation: TYPE EFFACTS CLINICAL USE ARGON LASER PHOTOCOAGULATION DR ND YAG LASER (1064 nm) PHOTODISRUPTION CAPSULOTOMY, IRIDOTOMY EXCIMER (193NM) PHOTOABLATION LASIK , PHOTOTHERAPEUTIC KERATCTOMY CO2 LASER - USE IN OCULOPLASTY